Which of the following agents is likely to cause cerebral calcification and hydrocephalus in a newborn whose mother has history of taking spiramycin but was not compliant with therapy:
1. Rubella
2. Toxoplasmosis
3. CMV
4. Herpes

Correct answer: 2. Toxoplasmosis

Explanation: A newborn with hydrocephalus and cerebral calcification whose mother was on spiramycin is suggestive of Maternal Toxoplasma infection as Spiramycin is drug used in the treatment of toxoplasma infection especially in cases of primary maternal infection in pregnancy. Ref: Nelson's Textbook of Pediatrics, 17th Edition, Pages 1494, 1490; Moffet's Pediatric Infectious Diseases, 4th Edition, Page 643; Toxoplasmosis: A Comprehensive Clinical Guide By David H. M. Joynson, Tim G. Wreghitt, Page 323; Schiff's Diseases of The Liver By Eugene R. Schiff, Michael F. Sorrell, Willis C. Maddrey, Volume 1, Page 1334